Which of the following is not true regarding biotransformation
1. Inactive metabolites are formed
2. Active metabolites are formed
3. More fat soluble metabolites are formed
4. More water soluble metabolites are formed

Correct answer: 3. More fat soluble metabolites are formed

Explanation: After biotransformation or metabolism the final product that is formed in water soluble and ionized so that it is easily excreted from the body it occurs in the liver mainly Through 2 phases - phase 1 and phase 2 reactions Ref KD tripathi 8th ed